Aztreonam is a/an -
1. beta-lactamase inhibitor
2. beta-lactam antibiotic
3. Antitubercular drug
4. Antifungal drug

Correct answer: 2. beta-lactam antibiotic

Explanation: Ans. is 'b' i.e., beta -lactam antibiotic